Which of the following bacteria is initiator of smooth surface caries:
1. Streptococcus mutans.
2. Streptococcus sanguis.
3. Lactobacillus.
4. Actinomyces.

Correct answer: 1. Streptococcus mutans.